The commonest histological type of carcinoma testis is -
1. Teratoma
2. Yolk sac turom
3. Seminoma
4. Chorio carcinoma

Correct answer: 3. Seminoma

Explanation: Tumors of the testis are a heterogeneous group of neoplasms that include germ cell tumors and sex cord stromal tumors. In postpubertal males, 95% of testicular tumors arise from germ cells, and all are malignant Seminomas are the most common type of germ cell tumor (~ 50% of germ cell tumors). robbins book of pathology 9th edition page 659 Most common tumor of the testis: Seminoma Mixed germ cell tumor Most common testicular tumor in infant and children up to 3 years: Yolk sac tumor Most common testicular tumor in prepubertal children: Teratoma Most common testicular tumor >60 years: Lymphoma Most common bilateral tumor Primary is seminoma Secondary is lymphoma